Treatment of choice in acute sarcoidosis is
1. Prednisolone
2. Cyclosporine
3. Infliximab
4. IV Immunoglobulins

Correct answer: 1. Prednisolone

Explanation: For acute disease, no therapy remains a viable option for patients with no or mild symptoms. For symptoms confined to only one organ, topical therapy is preferable. For multiorgan disease or disease too extensive for topical therapy, an approach to systemic therapy is outlined. Glucocorticoids remain the drugs of choice for this disease. However, the decision to continue to treat with glucocorticoids or to add steroid-sparing agents depends on the tolerability, duration, and dosage of glucocorticoids. Ref Harrison 19th edition pg 2210